ABO antibodies are
1. IgG
2. IgA
3. IgM
4. IgD

Correct answer: 3. IgM

Explanation: Antibody of ABO, Rh system is IgM.